Dilation of the salivary duct secondary to epithelial atrophy as a result of repeated inflammatory or infectious process is
1. Sialodochitis
2. sialadenitis
3. Sialolithiasis
4. Mucocele

Correct answer: 1. Sialodochitis